Most commonly paraneoplastic syndromes are associated with -
1. Bronchial carcinoid
2. Small cell carcinoma
3. Broncho-alveolar carcinoma
4. Bronchial adenoracinoma

Correct answer: 2. Small cell carcinoma

Explanation: Harshmohan textbook of pathology 7th edition para neoplastic syndrome are a group of conditions developing in patients with advanced cancer which are neither explained by direct and distant spread of the tumor nor by the usual hormone elaboration by the tissues of origin of tumors. Cushing syndrome in about 10% patients of small cell carcinoma of the lung elaborate ACTH orACTH like substance..